Cardiac output decreases in all the following conditions except
1. Sleep
2. Heart disease
3. Sitting from supine
4. Arrythmias

Correct answer: 1. Sleep

Explanation: Cardiac output = stroke volume x heart rateStroke volume depends on end diastolic volume. End-diastolic volume depends on several factors like venous return. Venous return is decreased in standing posture due to pooling of blood in lower extremities and is maximum in lying down position. EDV also depends on ventricular filling.MI leads to scarring and fibrosis of myocardium which affects the distensibility of heart because of increased stiffness.As a result EDV will be reduced leading to decrease in stroke volume. Arrhythmia will decrease the ventricular filling and decreases the stroke volume. Ref: Textbook of medical physiology by N Geetha, 2nd edition, page no. 170